The antiepileptic Drugs Which does not produce enzymes induction is:
1. Phenobarbitone
2. Sodium valproate
3. Phenytoin sodium
4. Carbamazepine

Correct answer: 2. Sodium valproate

Explanation: Ref: KDT 6/e p27,408 Most anticonvulsants are enzyme inducers except valproate (inhibitor).